All are anti-androgens except
1. Finasteride
2. Flutamide
3. Cyproterone acetate
4. Dihydrotestosteron

Correct answer: 4. Dihydrotestosteron

Explanation: Testosterone which is a natural androgen is converted to more active dihydrotestosterone by the enzyme steroid 5alpha-reductase. All others are anti-androgens. Flutamide, nilutamide, bicalutamide are androgen receptor antagonists (Ref.Essential s of medical pharmacology TD Tripathi 7th edition page no.296)